Chostek's and Trousseau's Signs is seen in which poisoning?
1. Oxalic acid
2. Strichynine
3. Hydrocyanic acid
4. Arsenic

Correct answer: 1. Oxalic acid

Explanation: Oxalic acid REF: Parikh 6th edition page 8.33 Chvostek's and Trousseau's Signs is seen in hypocalcemia. Oxalic acid combines with serum calcium to form insoluble calcium oxalate to cause hypocalcemia